Not used for iron poison in:
1. Magnesium hydroxide
2. Desferrioxamine
3. Gastric lavage
4. Penicillamine

Correct answer: 4. Penicillamine

Explanation: Ans. Penicillamine